Upper boundary of quadrangular space is formed by:
1. Teres major
2. Teres minor
3. Long head of triceps
4. Surgical neck of humerus

Correct answer: 2. Teres minor

Explanation: Boundaries of quadrangular spaceAbove/superior: the subscapularis and teres minorBelow/inferior: the teres majorMedially: the long head of the triceps brachiiLaterally: the surgical neck of humerus